Intravenous administration of norepinephrine in a patient already taking an effective dose of atropine will often:
1. Increase heart rate
2. Decrease total peripheral resistance
3. Decrease pupil size
4. Has no effect on cardiovascular system

Correct answer: 1. Increase heart rate